All of the following statements are true about shock except _________
1. Cardiogenic shock is the most common cause of shock in children
2. Crystalloids are preferred than colloids
3. Extracorporeal membrane oxygenation is given for refractory shock
4. Multiple organ Dysfunction Syndrome (MODS) is an important complication of shock

Correct answer: 1. Cardiogenic shock is the most common cause of shock in children

Explanation: Hypovolemic shock is the most common cause of shock in children.